The potential action of all the local anesthetics depends on the ability of anesthetic salt to liberate the free
1. Acid medium
2. Neutral medium
3. Alkaloidal chelate
4. Alkaloidal base

Correct answer: 4. Alkaloidal base